True about congenital adrenal hyperplasia is all except
1. Autosomal recessive disorder.
2. 11 - β Hydroxylase deficiency is most common.
3. Commonest cause of genital ambiguity at birth.
4. Hypoglycemia is seen.

Correct answer: 2. 11 - β Hydroxylase deficiency is most common.

Explanation: 21 - Hydroxylase deficiency is most common.